What is the treatment of Rhinitis Medicamentosa?
1. Withdrawal of nasal drops with short course of steroids
2. Antibiotics
3. Polypectomy
4. Increasing the dose of the nasal drops

Correct answer: 1. Withdrawal of nasal drops with short course of steroids

Explanation: It is treated by withdrawal of nasal drops, a short course of systemic steroid therapy and in some cases a surgical reduction of turbinates if they have become hypertrophied.Ref: PL Dhingra, Diseases of Ear, Nose & Throat, 7th edition, pg no. 191